Drug which is safe in pregnancy?
1. Flouroquinolone
2. Sulfadiazine
3. Tetracycline
4. Penicillin

Correct answer: 4. Penicillin

Explanation: CHOICE OF DRUGS FOR COMMON PROBLEMS DURING PREGNANCY